The base indicated below composite for shallow preparations:
1. ZOE
2. RMGIC
3. Zinc phosphate
4. Calcium hydroxide

Correct answer: 2. RMGIC

Explanation: Resin Modified GIC is used as a base below the composites, as using eugenol containing bases cause retardation of the polymerization reaction.